All of the following are TRUE about HUS, EXCEPT:
1. Not commonly caused by verocytotoxigenic E coli in Asia
2. Causes mild to severe Coombs positive hemolytic anemia
3. Recurrences are rare
4. Transient thrombocytopenia

Correct answer: 2. Causes mild to severe Coombs positive hemolytic anemia

Explanation: E Coli strains producing verocytotoxin or shiga like toxin causes disease varying from mild diarrhea to fatal hemorrhagic colitis and HUS. Primary target of VT is vascular endothelial cells. This is the pathogenesis of HUS in which characteristic renal lesions is capillary microangiopathy. Once shiga toxin enters the circulation, it binds to neutrophils and preferentially localizes in the kidney, where it causes damage to the endothelial cells. This results in platelet aggregation, which initiates the microangiopathic process. The typical EHEC is serotype o157 :H7. Gastrointestinal symptoms OF HUS include abdominal pain, cramping, and vomiting. Fever is typically absent. Neurologic symptoms are common and may include lethargy, encephalopathy, seizures, and even cerebral infarction. Coomb's positive hemolytic anemia occurs when the anemia is caused due to autoantibodies produced in the body. In H.U.S. the hemolytic anemia is caused by mechanical damage to R.B.C. Ref: Thilo E.H., Rosenberg A.A. (2012). Chapter 2. The Newborn Infant. In W.W. Hay, Jr., M.J. Levin, R.R. Deterding, J.J. Ross, J.M. Sondheimer (Eds), CURRENT Diagnosis & Treatment: Pediatrics, 21e.